The commonest long term complication causing mortality after urinary diversion is:
1. Renal failure due to pyelonephritis
2. Persistent electrolyte imbalance
3. Colonic carcinoma
4. BIL renal calculi

Correct answer: 1. Renal failure due to pyelonephritis